Which one of the following is not an adverse effect of ACE inhibitors ?
1. Cough
2. Hypokalemia
3. Angioneurotic edema
4. Skin rash

Correct answer: 2. Hypokalemia